Which of the following would be the most appropriate treatment for rehabilitation of a patient, who has bilateral profound deafness following surgery for bilateral acoustic schwannoma?
1. Bilateral high powered digital hearing aid
2. Bilateral cochlear implant
3. Unilateral cochlear implant
4. Brainstem implant

Correct answer: 4. Brainstem implant

Explanation: Ans. D Brainstem implant Ref. Harrison 17th/ed p 204 Rehabilitative measure Conductive hearing loss Mild I moderate SNHL Bilateral severe to profound SNHL with word recognition score < 30% Bilateral damage to eight nerve by trauma Ibilateral vestibular Corrective surgery I Hearing aids Hearing aids Cochlear implants Brainstem auditory implants (placed near cochlear nucleus) schwannoma